Which bacteria has Ampitrichous flagella
1. V cholerae
2. Spirillum minus
3. Listeria
4. Alcaligenes faecalis

Correct answer: 4. Alcaligenes faecalis

Explanation: Mono - trichous - V.cholerae
Ampitrichous  - Alcaligenes faecalis
Lophotrichous  - Spirillum minus
Peritricous  - E.coli, proteus, Listeria